Most common type of hodgkins lymphoma is ?
1. Lymphocyte predominant
2. Lymphocyte depletion
3. Nodular sclerosis
4. Mixed cellularity

Correct answer: 3. Nodular sclerosis

Explanation: Ans. is 'c' i.e., Nodular sclerosis